'Le Facie sympathique' indicates:
1. Antemortem hanging
2. Suicidal hanging
3. Homicidal Hanging
4. Postmortem hanging

Correct answer: 1. Antemortem hanging

Explanation: Ans. A. Antemortem hanging . (Ref. FMT by Dr KS Narayan Reddy 29th/pg. 306)Reddy 29th/pg. 306........."When suspension is complete Or in the standing posture, asphyxial signs are slight, petechial h'ges are uncommon, neck is strtched and elongated and head is always inclined to the side opposite to the side of knot. The face is pale due to cerebral ischemia or vagal inhibition. The eyes are frequently protruded and firmer than ususal due to congestion. Conjunctivae are congested. The eyes are closed or partially open, the pupils are usually dilated. If the ligature knot presses on the cervical sympathetic, the eye on the same side may remain open and its pupil dilated, It indicates antemortem hanging (He facie sympathique)".Additional Educational points:# Lynching is homicidal hanging. Lynching is the name derived from Captain William Lynch who use to order hanging on the spot without trial in the USA.